Which of the following is an example of extraspectral colour?
1. Red
2. Green
3. Blue
4. Purple

Correct answer: 4. Purple

Explanation: Another observation of basic importance is the demonstration that the sensation of white, any spectral color, and even the extraspectral color, purple, can be produced by mixing various proportions of red light (wavelength 723-647 nm), green light (575-492 nm), and blue light (492-450 nm). Red, green, and blue are therefore called the primary colors. Ref: Ganong's Review of Medical Physiology 23rd edition, Chapter 12.